A woman treated with lithium during pregnancy, the fetus should be tested for:
1. Neural tube defects
2. Cardiac malformations
3. Urogenital abnormalities
4. Scalp defects

Correct answer: 2. Cardiac malformations

Explanation: Ans. (B) Cardiac malformations.(Ref: Katzung, 11/e p500; Goodman and Gilman, 11/e p1326; KDT 8/e p 476-477)Lithium, if taken during pregnancy, can cause Ebstein's anomaly in the fetus, which is a congenital heart disease presenting as tricuspid atresia.